Which of the following viruses, in addition to HSV-1 and HSV-2, produces the cytopathologic findings of multinucleated giant cells?
1. Adenovirus
2. Cytomegalovirus
3. Human papillomavirus
4. Varicella-zoster virus

Correct answer: 4. Varicella-zoster virus

Explanation: A Tzanck smear assay can be used to identify the characteristic cytopathologic effects of multinucleated giant cells in herpetic skin lesions; however, this assay cannot distinguish among HSV-1, HSV-2, and VZV infections.